Palpable nerves are seen in:
1. Charcot Marie Tooth disease
2. Diabetes mellitus
3. Neurosyphilis
4. Myotonic dystrophy

Correct answer: 1. Charcot Marie Tooth disease

Explanation: Causes of Enlarged peripheral nerves are:- 1. Leprosy 2. Charcot Marie Tooth Disease(Hereditary sensorimotor neuropathy) 3. Neurofibromatosis 4. Refsum disease 5. Perineuroma 6. Nerve tumor 7. Amyloidosis